MELAS is an inherited condition which occurs due to deficiency of
1. Complex I
2. Complex II
3. Complex III
4. All the above

Correct answer: 1. Complex I

Explanation: MELAS (mitochondrial encephalopathy, lactic acidosis, and stroke) is an inherited condition due to NADH-Q oxidoreductase (Complex I) or cytochrome oxidase (Complex IV) deficiency. It is caused by a mutation in mitochondrial DNA and may be involved in Alzheimer disease and diabetes mellitus. Reference: Harper; 30th edition; Page no: 135